Somites develop from -
1. Notochord
2. Intermediate mesoderm
3. Paraxial mesoderm
4. Lateral plate mesoderm

Correct answer: 3. Paraxial mesoderm